Which antihypertensive is a prodrug and is converted to its active form in the brain?
1. Clonidine
2. Methyldopa
3. Minoxidil
4. Nitroprusside

Correct answer: 2. Methyldopa